About the homeostatic mechanism of the body following are true, EXCEPT:
1. Normal cell function depends on the constancy of ECF
2. The actual environment of the cells of the body is the interstitial component of the ECF
3. Renal and respiratory adjustments are taking place for homeostasis
4. System is stabilized by the positive feed back mechanism

Correct answer: 4. System is stabilized by the positive feed back mechanism

Explanation: Many of homeostatic mechanisms operate on the principle of negative feedback; deviations from a given normal set point are detected by a sensor, and signals from the sensor trigger compensatory changes that continue until the set point is again reached. The actual environment of the cells of the body is the interstitial component of the ECF. Normal cell function depends on the constancy of this fluid. The buffering properties of the body fluids and the renal and respiratory adjustments to the presence of excess acid or alkali are examples of homeostatic mechanisms. Ref: Barrett K.E., Barman S.M., Boitano S., Brooks H.L. (2012). Chapter 2. Overview of Cellular Physiology in Medical Physiology. In K.E. Barrett, S.M. Barman, S. Boitano, H.L. Brooks (Eds), Ganong's Review of Medical Physiology, 24e.